The dangerous particle size causing pneumoconiosis varies from:
1. 100-150 um
2. 50-100 um
3. 10-50 um
4. 1-5 um

Correct answer: 4. 1-5 um

Explanation: Ans. (d) 1-5 um(Ref: Robbins 9th/pg 689; 8th/pg 697)For pneumoconiosis, the most dangerous particles are from 1 to 5 um in diameter, because particles of this size may reach the terminal small airways and air sacs and settle in their linings.